Painless ulcer of the tongue is due to -
1. Dyspepsia
2. Syphilis
3. Tuberculosis
4. None of the above

Correct answer: 2. Syphilis

Explanation: Ans. is 'b' i.e., Syphilis